Appetite is stimulated by all of the following peptides, Except:
1. Agouti - Related Peptide (AGRP)
2. Melanocyte Stimulating hormone (MSH)
3. Melanin Concentrating Hormone (MCH)
4. Neuropeptide Y

Correct answer: 2. Melanocyte Stimulating hormone (MSH)

Explanation: B i.e. Melanocyte Stimulating hormone (MSH) MSH (a-melanocyte stimulating hormone) and CA (cocaine & amphetamine regulated transcript) releasing POMC (pro-opio-melano-coin) neurons are anorexigenic/anti-orexigenic (i.e. produce satiety & decrease appetite). Whereas, AGRP (agouti-related-peptide) and NPY (neuropeptide Y) releasing neurons of arcuate nuclei of hypothalamus are orexigenic (i.e. increase appetite & cause obesity). Regulation of Food Intake - Hypothalmus contains hunger (feeding) and satiety centers. The lateral nuclei of hypothalamus serve as a feeding (hunger) center and ventromedial nuclei of hypothalamus serve as the satiety center. Stimulation of feeding center & /or destruction of satiety center cause voracious appetite (hyperphagia) & obesity. Whereas, destruction of feeding center & /or stimulation of satiety center cause anorexia (complete satiety Rack of desire for food) & progressive inanition (weight loss). - Lesions of paraventricular nuclei of hypothalamus cause excessive eating and lesions of dorsomedial nuclei usually depress eating behaviour. - Arcuate nuclei of hypothalamus, are the sites where multiple hormones released from gastrointestinal tract and adiose tissue converge to regulate food intake & energy expenditure. It has 2 types of neurons.